Which one of the following drugs is used for fetal therapy of congenital adrenal hyperplasia ?
1. Hydrocortisone
2. Prednisolone
3. Fludrocortisone
4. Dexamethasone

Correct answer: 4. Dexamethasone

Explanation: These patients with congenital adrenal hyperplasia require lifelong treatment.Patients with salt wasting and virilizing forms should be treated with hydrocortisone(10-15 mg/m2/day)and fludrocortisone (0.1mg/day).After completion of growth ,synthetic glucocorticoid preperations( dexamethasone,prednisolone)can be used. Reference: OP Ghai,essentiL paediatrics,8 th edition,page no 527